Which of the following is an oral thrombin inhibitor?
1. Rivaroxaban
2. Dabigatran
3. Argatroban
4. Alfimeprase

Correct answer: 2. Dabigatran

Explanation: Dabigatran etexilate is an oral thrombin inhibitor and rivaroxaban is an oral factor Xa inhibitor. Dabigatran etexilate is used as an alternative to warfarin for stroke prevention in patients with atrial fibrillation. Argatroban is a parenteral direct thrombin inhibitor. Alfimeprase is a fibrinolytic agent. Ref: Harrisons principles of internal medicine, 18th edition, Chapter: 118